True about interferon -a) It is virus specificb) It is Bacteria specificc) Produced from Bacteriad) Effective against viral infectione) It is species specific
1. ab
2. bc
3. cd
4. de

Correct answer: 4. de

Explanation: Interferon

Interferons are a family of host coded proteins produced by cells on induction by viral or nonviral inducers.


Interferon production is a natural defense mechanism possessed by vertebrate cells against viral infection.

Properties of interferons 

Interferons are species specific, in that interferon produced by one species can protect only cells of the same or related species against viral infections but not cells of unrelated species.
The activity is not virus specific, in that interferon induced by one virus can confer protection against infection by the same or unrelated viruses.


Interferons are inactivated by proteolytic enzymes but not by nucleases or lipases.
Interferons are stable over a wide range of pH (2-10) except IF-γ, which is labile at pH - 2.